Child survival index is calculated by?
1. 1000-IMR\/10
2. IMR -1000\/10
3. 1000-U5MR\/10
4. U5MR-1000\/10

Correct answer: 3. 1000-U5MR\/10

Explanation: Park's textbook of preventive and social medicine 23rd edition. *Child survival rate =(1000- under 5 mortality rate)/10.